Test based on counting the direction of each within paired sample is-
1. .'t' test
2. Z test
3. F test
4. Sign test

Correct answer: 4. Sign test

Explanation: * The 'Sign test' is non parametric / distribution free test which can be utilized to analyze paired sample * It is based on counting the direction (or Sign) of each 'within-pair difference